Optically inactive amino acid is/are:
1. Threonine
2. Thyronine
3. Valine
4. Glycine

Correct answer: 4. Glycine

Explanation: Ans: d. Glycine Amino acids having an asymmetric carbon atom exhibit optical activity. Asymmetry arises when 4 different groups are attached to the same carbon atomGlycine is the simplest amino acids & has no asymmetric carbon atom & therefore shows no optical activity. All others are optically activeThe mirror image forms produced with reference to the alpha carbon atom, are called D & L isomersIsoleucine er threonine have 2 optically active centres & therefore each has 4 diastereo isomers